White-coat hypertension is an example of :
1. the unconditioned stimulus
2. the unconditioned response
3. the conditioned stimulus
4. the conditioned response

Correct answer: 4. the conditioned response

Explanation: The patient's elevated blood pressure in the doctor's office is the conditioned (learned) response. This response results from an association that has been made by classical conditioning between the doctor and/or his white coat (conditioned stimulus) and something negative in the patient's past (unconditioned stimulus), a reaction commonly called "white-coat hypertension." The patient's blood pressure is relatively normal when taken at home.